Specificity of a test refers to its ability to detect-
1. True positive
2. True negatives
3. False negatives
4. False positive

Correct answer: 2. True negatives

Explanation: Ans. is 'b' i.e., True negative Sensitivity* It is the ability of a test to identify correctly all those who have the disease, i.e., true positive.Specificity* It is the ability of a test to identify correctly those who do not have the disease i.e., true negative